Which anticancer drug prevents spindle formation?
1. Busulfan
2. Vinca alkaloids
3. 5 - FU
4. Methotrexate

Correct answer: 2. Vinca alkaloids

Explanation: Ans. is 'b' i.e., Vinca alkaloids Taxanes (Paclitaxel and Docetaxel) enhances polymerization of tubulin (a mechanism opposite to that of vincaalkaloids) -the microtubules are stabilized and their depolymerization is prevented. Vinca alkaloids (vincristine, vinblastine)prevent polymerization and assembly of microtubules. Mitotic inhibitors Enhances polymerization Preventpolymerization Taxanes Vinca alkaloids